Paul Bunnell test is done for:
1. Malta fever
2. Leptospirosis
3. Enteric fever
4. Infectious mononucleosis

Correct answer: 4. Infectious mononucleosis

Explanation: Paul Bunnell test: Paul Bunnell test is heterophile agglutination test used for diagnosis of infectious mononucleosis, which is caused by EBV (Epstein-Barr virus). These heterophilic antibodies are IgM antibodies produced in response to EBV infection, that recognize and cross react with Paul-Bunnell antigen on sheep, horse, and bovine RBCs. Therefore, serum from patients with acute mononucleosis agglutinates sheep, horse, or bovine erythrocytes. Enteric fever- diagnosed by widal test. Malta fever- diagnosed by standard agglutination test. Leptospirosis- diagnosed by Microscopic agglutination test (MAT).